In Submandibular gland surgery. The nerve leastlikely to be injured is -
1. Inferior alveolar nerve
2. Hypoglossal nerve
3. Lingual nerve
4. Mandibular branch of facial nerve

Correct answer: 1. Inferior alveolar nerve